Treatment of leprosy a/c to WHO is done by all drugs, except
1. Dapsone
2. Clofazimine
3. Ciprofloxacin
4. Rifampicin

Correct answer: 3. Ciprofloxacin